Which one of the following should be relieved under a
palatal major connector?
1. Rugae region
2. Posterior palatal seal
3. Soft flabby tissue
4. Torus palatinus

Correct answer: 4. Torus palatinus